All of the following are test for degree of closeness of a measured/ calculated quantity to its actual/ true value except:-
1. Mean chart
2. Levy Jennings (LJ) chart
3. Range chart
4. Shewhart control chart

Correct answer: 3. Range chart

Explanation: Precision Accuracy Definition Repeatability, reliability, consistency, reproducibility of a test Degree of closeness of a measured/ calculated quantity to its actual/ true value, validity Tests used to measure Range chart, R - chart Mean chart, Levy Jennings chart, Shewhart control chart